Which of the following membrane has the highest protein content per gram tissue:
1. Inner mitochondria' membrane
2. Outer mitochondrial membrane
3. Plasma membrane
4. Myelin sheath

Correct answer: 1. Inner mitochondria' membrane

Explanation: A i.e. Inner mitochondrial membrane